All satements are true about papilloedema except -
1. Collection of extra - cellular fluid
2. Disruption of neurofilament
3. Stasis of axoplasmic transport
4. Swelling of the axon

Correct answer: 2. Disruption of neurofilament

Explanation: Primary pathology of papilloedema is blockage of axoplasmic transport (axoplasmic stasis) which causes swelling of axons and ultimately extracellular edema.